Which of the following is a feature of Marfan's syndrome?
1. Pulmonary hypertension
2. Intellectual disability
3. Emphysema
4. Subluxuation of lens

Correct answer: 4. Subluxuation of lens

Explanation: Subluxuation of lens is associated with Marfan's syndrome. Features of Marfan's syndrome Mitral valve prolapse Myopia due to upward dislocation of lens (bilateral ectopic lentis) Aortic root dilatation, Aortic regurgitation Retinal detachment Fibrillin 1 gene defect: Reduced fibrillin 1 production causing joint laxity Fifteen (chromosome 15 is invloved) Flat feet Arachnodactyly, Astigmatism, Air in lungs (Pneumothorax) Near Sightedness Subluxuation of lens, Scoliosis, Speech disorders, Sleep apnea Ref: Nelson textbook of pediatrics 21st edition Pgno: 3741